Rabies diagnosis is done best by:
1. Brain biopsy
2. Blood culture
3. Electron microscopy
4. None

Correct answer: 1. Brain biopsy

Explanation: Ans. a. Brain biopsy